Most common presentation in nasopharyngeal carcinoma is with
1. Epistaxis
2. Hoarseness of voice
3. Nasal stuffiness
4. Cervical lymphadenopathy

Correct answer: 4. Cervical lymphadenopathy

Explanation: This may be the only manifestation of nasopharyngeal cancer. A lump of nodes is found between the angle of the jaw and the mastoid and some nodes along with the spinal accessory in the posterior triangle of the neck. Nodal metastases are seen in 75% of the patients when first seen, about half of them with bilateral nodes (Ref: Diseases of Ear, Nose and Throat, P.L Dhingra, 7th edition, page 284)